Tzank smear is prepared for -
1. Leprosy
2. Varicella
3. Fungus
4. Atopic dermatitis

Correct answer: 2. Varicella

Explanation: Ans. is 'b' i.e., Varicella Tzank smear findings in bullous disordersDisordersFindingso Pemphiguso Bullous pemphigoido Varicella-zoster infectiono Herpes simpex infectiono Toxic epidermal necrolysisAcantholysisPredominantly eosinophilsMultinucleated giant cellsMultinucleated giant cellsNecrotic cells